All the muscles are used to abduct the shoulder except -
1. Deltoid
2. Supraspinatus
3. Serratus anterior
4. Pectoralis major

Correct answer: 4. Pectoralis major

Explanation: Muscles responsible for abduction of the shoulder joint
-        Supraspinatus- first 15 degrees of abduction
-        Deltoid (Acromial fibers)- it is responsible for abduction from 15 to 90 degrees.
-        Trapezius and serratus anterior- They are responsible for upward rotation of the glenoid cavity.